In severe injury, first to be maintained is -
1. Hypotension
2. Dehydration
3. Airway
4. Cardiac status

Correct answer: 3. Airway